Basophilic stippling is seen which of the following cells:
1. Neutrophils
2. RBC's
3. Basophils
4. Eosinophils

Correct answer: 2. RBC's

Explanation: Ans. RBC's